Acute Hepatitis B is indicated by:
1. HBsAg
2. HBcAg
3. HBeAg
4. Anti HBc (IgM)

Correct answer: 4. Anti HBc (IgM)

Explanation: Acute Hepatitis B is indicated by Anti HBc (IgM). Markers of hepatitis B infection: HBsAg Epidemiological marker of hepatitis B infection. Earliest marker seen in infection. Also seen in chronic infection. HBcAg HBe Indicates active viral replication. Marker of infectivity for Hepatitis B. Anti-HBc First antibody to appear in serum. IgM anti-HBc is a marker of 'acute Hepatitis B'. IgG anti-HBc is a marker of ' chronic Hepatitis B'.